What is the basic minimum illumination required for satisfactory vision?-
1. 10-15 foot candles
2. 15-20 foot candles
3. 20-25 foot candles
4. 25-30 foot candles

Correct answer: 2. 15-20 foot candles

Explanation: (PARK TB 23rd edtn pg 739) The lighting should be sufficient to enable eye to discern the details of an object as well as the surroundings without eye strain. An illumination of 15 to 20 candles is accepted as the basic minimum for satisfactory vision.